shape of normal distribution curve-
1. J shape
2. U shape
3. Bell shape
4. None

Correct answer: 3. Bell shape

Explanation: Ref:Parks 23rd edition pg 849. Standard normal curve: It is a smooth, bell-shaped, perfectly symmetrical curve based on an infinitely large number of observations. The total area of the curve is 1 . Mean =0 Standard deviation is 1 Mean, median and mode all coincide .